Which of the following is least nephrotoxic?
1. Streptomycin
2. Gentamicin
3. Polymixin B
4. Doxycycline

Correct answer: 4. Doxycycline

Explanation: Doxycycline belongs to the class of medicines known as tetracycline antibiotics. It works by killing bacteria or preventing their growth. However, this medicine will not work for colds, flu, or other virus infections. All tetracyclines,except doxycycline, accumulate and enhance renal failure. A reversible Fancony syndrome like condition is produced by outdated tetracyclines due to proximal tubular damage caused by degraded products-epitetracycline, anhydrotetracycline and epianhydrotetracycline. Exposure to acidic pH, moisture and heat favours such degradation. ESSENTIALS OF MEDICAL PHARMACOLOGY,www.mayoclinic.org K.D.TRIPATHI SIXTH EDITION PAGE NO:713